Constitutional pancytopenia can be seen in following except-
1. Fanconi's anemia
2. Diamond-Blackfan syndrome
3. Dyskeratosis congenita
4. Schwachman Diamond syndrome

Correct answer: 2. Diamond-Blackfan syndrome

Explanation: Ans. is 'b' i.e., Diamond-Blackfan syndrome